The kebab treatment is used for treatment of which of the following conditions
1. Paget's disease
2. Osteoarthritis
3. Myositis ossificans
4. Osteogenesis imperfecta

Correct answer: 4. Osteogenesis imperfecta

Explanation: Osteogenesis imperfecta is characterized by multiple fractures and multiple deformities and one of the surgical treatment devised is the kebab treatment which consists of multiple osteotomies and threading of the multiple fragments over an intramedullary implant, thus a fanciful resemblance to the delicacy.